Vasopressor of choice in anesthesia for a patient of aortic stenosis, who develops hypotension during surgery:
1. Ephedrine
2. Dopamine
3. Dobutamine
4. Phenylephrine

Correct answer: 4. Phenylephrine

Explanation: Ans. d. Phenylephrine Thenylephrine is the vasopressor of choice to restore coronary perfusion in patients with severe aortic stenosis when under general anesthesia.' Phenylephrine is the vasopressor of choice for correcting hypotension in parturients with aortic stenosis.' Phenylephrine is preferred over ephedrine as a vasopressor because the former lacks beta adrenergic agonist activity.' Phenylephrine Phenylephrine is the vasopressor of choice to restore coronary perfusion in patients with severe aortic stenosis when under general anesthesia. Phenylephrine is the vasopressor of choice for correcting hypotension in parturients with aortic stenosis.